A 7-year-old girl is brought with complaints of generalized swelling of the body. Urinary examination reveals Grade 3 proteinuria and the presence of hyaline and fatty casts. She has no history of Hematuria. Which of the following statements about her condition is true:
1. No IgG deposits or C3 deposition on Renal biopsy
2. Her C3 levels will be low
3. IgA Nephropathy is the likely diagnosis
4. Alport's syndrome is the likely diagnosis

Correct answer: 1. No IgG deposits or C3 deposition on Renal biopsy

Explanation: 7-year girl presenting with oedema, grade 3 proteinuria without haematuria and presence of hyaline casts points to a diagnosis of nephrotic syndrome possibly minimal change disease. In minimal change disease, C3 levels will not be low and there will not be any IgG or C3 deposits in renal biopsy. IgA nephropathy and Alport's syndrome have haematuria as an important presenting symptom.(Ref: Harrison's 18/e p2345)